What proportion of Wegener's will have antibodies to Proteinase-3?
1. 10%
2. 50%
3. 90%
4. 100%

Correct answer: 3. 90%

Explanation: There are two types of ANCA based on different targets for the antibodies. Cytoplasmic ANCA (cANCA) is the diffuse, granular cytoplasmic staining pattern observed by immunofluorescence microscopy when serum antibodies bind to indicator neutrophils. Proteinase-3 is the major c-ANCA antigen. ALSO NOTE: More than 90% of patients with typical active granulomatosis with polyangiitis (Wegener's) have detectable antibodies to proteinase-3 Ref: Harrison, E-18, P-2786.